Presenting symptom of nasal myiasis is-
1. Severe irritation with sneezing
2. Maggots
3. Nasal pain
4. Impaired olfaction

Correct answer: 1. Severe irritation with sneezing

Explanation: Ans. is 'a' i.e., Severe irritation with sneezing Clinical features of nasal myiasiso Initial symptoms (3-4 days maggots)Intense irritation, sneezing, headache, blood stained disharge, lacrimation. Later Maggots may crawl out of nose and there is foul smell.Nasal myiasis (Maggots in nose)o It results from the presence of ova of flies particularly chrysomia species in the nose which produce ulceration and destruction of nasal structure. Mostly seen in atrophic rhinitis when the mucosa becomes insensitive to flies laying eggs inside.Clinical featureso Initial symptoms (3-4 days maggots):- Intense irritation, sneezing, headache, blood stained disharge, lacrimation.o Later:- Maggots may crawl out of nose and there is foul smell.Complicationso Destruction of nose, sinuses, soft tissues of face, palate and eyeballo Fistulae in nose and palateo Death occurs due to meningitis.Treatmento Chloroform water or vapor must be instilled in order to anaesthetize or kill the maggots and so release their grip from the skin.